The semi-essential amino acids are
1. Phenylalanine
2. Lysine
3. Tryptophan
4. Arginine

Correct answer: 4. Arginine

Explanation: Others are essential amino acids.Semi-essential amino acids are arginine and histidine only.Ref: DM Vasudevan - Textbook of Biochemistry for Medical Students, 7th edition, page no: 27